Councilman bodies are seen in:
1. Wilson disease
2. Alcoholic hepatitis
3. Acute viral hepatitis
4. Autoimmune hepatitis

Correct answer: 3. Acute viral hepatitis

Explanation: Councilman bodies are seen in Acute viral hepatitis Hepatocyte apoptosis is an active form of "programmed" cell death resulting in hepatocyte shrinkage, Nuclear chromatin condensation (pyknosis), fragmentation (karyorrhexis), and cellular fragmentation into acidophilic apoptotic bodies. Apoptotic hepatocytes have often been referred to as Councilman bodies. The term acidophilic bodies is used, due to their deeply eosinophilic staining characteristics.